Ketamine acts an which receptor
1. GABAA
2. GABAB
3. NMDA
4. Glutamate

Correct answer: 3. NMDA

Explanation: Ketamine has multiple effects throughout the central nervous system, and it is well recognized to inhibit N-methyl-D-aspaate (NMDA) channels and neuronal hyperpolarization-activated cationic (HCN1) channels. Ref: Morgan & Mikhail's clinical anesthesiology 6e